All were the goals for National health policy 2002 except:
1. Eliminate lymphatic filariasis by 2015
2. Eliminate Kala-azar by 2010
3. Eliminate HIV by 2015
4. Eliminate leprosy by 2005

Correct answer: 3. Eliminate HIV by 2015

Explanation: Ans. C: Eliminate HIV by 2015 The National Health Policy-2002(NHP) gives prime importance to ensure a more equitable access to health services across the social and geographical expanse of the country. It calls for a strong primary health network in rural India. Priority has been given to preventive and curative initiatives at the primary health level through increased sectoral share of allocation The policy envisages kick starting the revival of the Primary Health System by providing some essential drugs under Central Government funding through the decentralized health system. Enforce a mandatory two-year rural posting before the awarding of the graduates degree.This would not only make trained medical manpower available in the underserved areas, but would offer valuable clinical experience to the graduating doctors. Some of the goals (to be achieved by 2015) of NH p-2002 are: Eliminate lymphatic filariasis by 2015 Eliminate Kala-azar by 2010 Achieve zero level growth of HIV/AIDS by 2007 Eliminate leprosy by 2005 Eradicate polio and yaws by 2005